Increased spatulation is case of dental stone results in
1. Increased working time
2. Increased setting time
3. Decreased setting time
4. None of the above

Correct answer: 3. Decreased setting time